Which of the following type of bone cells have the charecteristic MOST abundant rough endoplasmic reticulum, golgi and secretory granules?
1. Osteocytes
2. Osteoprogenitor Cells
3. Bone lining cells
4. Osteoblasts

Correct answer: 4. Osteoblasts

Explanation: Osteoblasts have the cytological characteristics of protein-secreting cells: RER, Golgi and secretory granules. Located near the forming bone surface, these cells are specialized for the synthesis and secretion of both the organic and inorganic components of bone matrix.